Which of the following cranial nerve can be visualised on plain CT scan?
1. Optic
2. Trigeminal
3. Facial
4. Hypoglossal

Correct answer: 1. Optic

Explanation: Ans. Optic